Improvement in nasal patency by retracting the lateral part of the cheek and thus testing the valvular component of the nose is:
1. Epley's manoeuvre
2. Cottle's test
3. Schwartz manoeuvre
4. Heimlich manoeuvre

Correct answer: 2. Cottle's test

Explanation: (b) Cottle's test(Ref. Cummings, 6th ed., 477; Scott Brown, 8th ed., Vol 1; 987)Epley's manoeuvre is the repositioning manoeuvre done for the management of BPPV (benign paroxysmal positional vertigo).Heimlich manoeuvre is the initial immediate management of accidental inhalation of foreign body. In Heimlich manoeuvre multiple thrusts are given with the wrist in the upper epigastrium while standing behind the patient.There is no Schwartz manoeuvre